Brown tumor is characteristic of?
1. Hyperparathyroidism
2. Hypoparathyroidism
3. Hyperthyroidism
4. Hypopituitarism

Correct answer: 1. Hyperparathyroidism

Explanation: Ans. A. HyperparathyroidismBrown tumor occurs due to the increased osteoclastic activity in hyperparathyroidism. It is a benign mass of reactive tissue.